Instrument used to plane buccoproximal and linguoproximal walls in class II cavity is:
1. Enamel hatchet
2. Bibeveled hatchet
3. Chisel
4. Single sided chisel

Correct answer: 1. Enamel hatchet

Explanation: With the enamel hatchet or the bin-angle chisel or both, the dentist can cleave away any remaining undermined proximal enamel, establishing the proper direction to the mesiolingual and mesiofacial walls.